A patient developed paraplegia. On routine examination and X-ray it was found that there are osteoblastic lesion in his spine. What is the MOST probable diagnosis?
1. Carcinoma thyroid
2. Ca. Prostate
3. Breast Ca.
4. Pancreatic Ca.

Correct answer: 2. Ca. Prostate

Explanation: Patients with prostate cancer develop osteoblastic metastasis to the bones. 80% of patients who die from prostate cancer have bone metastases at autopsy. The most common sites of metastasis are vertebral column, pelvis, ribs and proximal long bones. These sites corresponds to the most abundant regions of bone marrow in the skeleton. Osteolytic metastases: It commonly originates from cancers of thyroid, kidney, adrenal, GIT and uterus. Mixed form metastases occur in: Cancers originating in bronchi, breast, cervix and ovary. Ref: Comprehensive Textbook of Genitourinary Oncology edited by Nicholas Vogelzang page 39.